Most common bladder cancer -
1. SCC
2. Transitional cell carcinoma
3. Sarcoma
4. Lymphoma

Correct answer: 2. Transitional cell carcinoma

Explanation: Ans. is 'b' i.e.. Transitional cell carcinoma Bladder Carcinomao Bladder cancer accounts for approximately 7% of cancers and 3% of cancer mortality in the United States,o About 95% of bladder tumors are of epithelial origin, the remainder being mesenchymal tumors.o Most epithelial tumors are urothelial (transitional cell) type and are thus interchangeably called urothelial or transitional tumors, but squamous and glandular carcinomas also occur.